Hunter's canal is seen in?
1. Cubital fossa
2. Popliteal fossa
3. Thigh
4. Calf

Correct answer: 3. Thigh

Explanation: Ans. is 'c' i.e., Thigh